Investigation of choice for Posterior urethral valves:
1. Micturating Cystourethrography (MCU)
2. Ultrasound
3. Intravenous Pyelography
4. Retrograde urethrography

Correct answer: 1. Micturating Cystourethrography (MCU)

Explanation: Ans. a (MCU). (Ref. Sutton Radiology 7th ed. 1017, 1061)- MCU is IOC for PU valve and VUR.Posterior urethral valves (PUV)# Varying degree of chronic urethral obstruction due to fusion and prominence of plicae colliculi, normal concentric folds of urethra.# Usually located in posterior urethra just distal to the level verumontanum.c;# It is the most common cause of severe obstructive uropathy in infants and children.# MCU is 'gold standard' in diagnosis of PUV.# Rx: Cystoscopic fulguration of the valves.Three types of PUV are described :